All of the following causes death in coarctation of Aorta except-
1. Infective endocarditis
2. CCF
3. Intra cranial hemorrhage
4. Anterior MI

Correct answer: 4. Anterior MI

Explanation: Ans. is d i.e., Anterior MI The causes of mortality in co-arctation of aorta are : Hypertension Aortic dissection Premature atherosclerosis Rupture of aorta Left ventricular failure Infective endocarditis Cerebral haemorrhage (due to aneurysm rupture)